Which of the following is the most common tumour associated with Neurofibromatosis -1 (NF-I) in a child?
1. Juveile Myelomonocytic Leukemia (JMML)
2. Acute Lymphoblastic Leukemia (ALL)
3. Acute Myeloid Leukemia (AML)
4. Chronic Myeloid Leukemia (CML)

Correct answer: 1. Juveile Myelomonocytic Leukemia (JMML)

Explanation: Children with neurofibromatosis type 1 have higher risk of developing juvenile myelomonocytic leukemia. Ref: Essential pediatrics by O.P.Ghai 6th edn/page 545; Rook's textbook of dermatology, Volume 1 By Arthur Rook, Tony Burns (FRCP.)page 2-32.